Which of the following is hepatotoxic
1. Transdermal testosterone patch
2. 17 alpha methyl testosterone
3. Intranasal testosterone
4. Injectible testosterone undeconate

Correct answer: 2. 17 alpha methyl testosterone

Explanation: 17 alpha methyl testosterone oral form of testosterone is hepatotoxic , so should not be used for treatment of androgen deficiency Ref Harrison 20th edi page no 2783, tab 384-3